Loffler's medium is
1. Indicator medium
2. Selective medium
3. Enrichment medium
4. Enriched medium

Correct answer: 4. Enriched medium

Explanation: Enriched medium The media containing ingredients which enhance their growth-promoting qualities are enriched media e.g. blood agar, chocolate agar, and Loeffler medium.